Propranolol is useful in the treatment of all of the following except
1. Angina
2. Partial atrioventricular block
3. Idiopathic hypertrophic subaic cardiomyopathy
4. Familial tremor

Correct answer: 2. Partial atrioventricular block

Explanation: Ref-KDT 6/e p142,143 Beta blockers are contraindicated in heart block because this can convert partial AV block to complete AV block. These agents are the drugs if choice for HOCM